First line of Rx of osteoporosis in postmenopausal women
1. Estrogen
2. Bisphosphonates
3. Raloxifene
4. Ullipsistal

Correct answer: 2. Bisphosphonates

Explanation: REF : SHAW GYNECOLOGY REF REF :